Medial meniscus of knee joint is injured more often than the lateral meniscus because the medial meniscus is relatively.
1. More mobile
2. Less mobile
3. Thinner
4. Attached lightly to femur

Correct answer: 2. Less mobile

Explanation: Ans. is 'b' i.e., Less mobile Medial meniscus injury is more common than lateral meniscus becauseMedial meniscus is strongly attached to the medial collateral ligament of the knee joint, which makes it less mobile.The popliteal muscle sends a few fibres into the lateral meniscus, and these can pull the lateral meniscus into more favourable position during sudden movements of knee joint.Some Important points about meniscal injury. Meniscal injury occurs when the knee is rotated in flexed or semiflexed position while taking weight of body. It is usually a football injury but is also common among men who work in a squatting position.The menisci are avascular structures so once tom does not heal.The meniscal tear is mostly longitudinal (tear along its length) because menisci consists mainly of circumferential fibres held by few radial strands.Bucket Handle tear is the most common type of meniscal tearClinical featuresThe patient is usually a young person who sustains a twisting injury to the knee on the sports field. Pain is often severe and further activity is avoided, occasionally the knee is locked* in partial flexion (the pt. being unable to extend the knee fully)Almost invariably, swelling appears some hours later; or perhaps on the following day*.With rest the initial symptoms subside, only to recur periodically* after trivial twists or strains. Sometimes the knee gives way spontaneously and this is again followed by pain and swelling.Tests performed to detect Meniscal injuryMe Murray's test*Apley's grinding test *